Pinna calcification is seen in all except
1. Gout
2. Ochronosis
3. Frost bite
4. Addison's disease

Correct answer: 1. Gout

Explanation: Ans. a. Gout Pinna Calcification is seen in Addison's diseaseQ Diabetes mellitus OchronosisQ HyperthyroidismQ AcromegalyQ von Meyenburg's disease (systemicchondromalacia) Hypertension Late calcification of the auricular cartilage following frostbite. ( of Chapter/1550092413 .pdf) Delayed dystrophic calcification of the underlying auricular cartilage may develop years after the initial frostbite. When this occurs, the pinna is bony and hard to palpation. A radiograph of the pinna will reveal radiodense areas of calcification in the auricular cartilage.